True about Latissimus dorsi -a) Nerve supply from long thoracic nerveb) Inserted into bicipital groove of humerusc) Use to fill up back defectsd) Blood supply from lateral thoracic arterye) Origin from upper four ribs
1. a
2. bc
3. ac
4. ad

Correct answer: 2. bc

Explanation: Latissimus dorsi originates from T7 to T12 spines, thoracolumbar fascia, outer lip of iliac crest, lower 4 ribs and inferior angle of scapula to insert into the floor of bicipital groove. It is innervated by thoracodorsal nerve.
It is used as musculocutaneous flap to fill areas of tissue loss.
Action:
-        Adduction, extension and medial rotation of shoulder.